A patient developed breathlessness and chest pain, on second postoperative day after a total hip replacement. Echo-cardiography showed right ventricular dilatation and tricuspid regurgitation. What is the most likely diagnosis-
1. Acute MI
2. Pulmonary embolism
3. Hypotensive shock
4. Cardiac tamponate

Correct answer: 2. Pulmonary embolism

Explanation: *Onset of chest pain and breathlessness, together with echocardiographic evidence of right ventricular dilatation and tricispid regurgitation after a high risk procedure like total hip replacement suggests a diagnosis of pulmonary embolism. REF:Campbell's 11th/e Chapter-7